Conjugated hyperbiliubinemia in infancy is seen
1. Gilbert syndrome
2. Criggler najjar syndrome
3. Dubin Johnson syndrome
4. Breast milk jaundice

Correct answer: 3. Dubin Johnson syndrome

Explanation: Dubin Johnson syndrome is an autosomal recessive disorder resulting from impaired hepatic excretion of bilirubin and thus causes conjugated hyperbilirubinemia(2-6 mg/dl). Gilbert syndrome, Crigler- Najjar syndrome and breast milk jaundice are causes of unconjugated hyperbilirubinemia. Reference : page 312 Ghai Essential Pediatrics 8th edition